Carcinoma cervix is caused by :
1. Herpes simplex type I
2. Papova virus
3. Ebstein virus
4. Adeno virus

Correct answer: 2. Papova virus

Explanation: Papova virus